A women delivered a baby of 2.2 kg weight. Her LMP is not known. To know the maturity of baby, following are used –
1. Sole Crease
2. Ear Cartilage
3. Breast nodule
4. All of these

Correct answer: 4. All of these